Which of the following statements about cerebellar astrocytomas in pediatric age group is false:
1. These are usually low grade tumors
2. These are more commonly seen in the 1st and 2nd decades
3. These tumors have a good prognosis
4. These tumors are more common in females

Correct answer: 4. These tumors are more common in females

Explanation: Cerebellar astrocytomas donot show any clear gender predilection and are equally common in both males and females. Cerebellar Astrocytomas MC astrocytomas in childhood are low grade astrocytomas Juvenile pilocytic Astrocytoma (JPA) is MC astrocytoma in children Cerebellar Astrocytoma (JPA) donot show any clear gender predilection Cerebellar astrocytoma (JPA) most commonly develop during first two decades of life Cerebellar astrocytoma surgical resection the overall survival for JPA approaches 80-100% Ref: Nelsons 20th edition Pgno: 2455